Most predominant cells in pars nervosa are
1. Basophilic
2. Acidophilic
3. Pituicytes
4. Chromatophobe cells

Correct answer: 3. Pituicytes